Which of the following is most likely due to pharmacogenetic condition
1. Hypiglycemia by insulin
2. Tachycardia by Albuterol
3. Metoclopropramide induced muscle dystonia
4. Primaquine induced hemolytic anemia

Correct answer: 4. Primaquine induced hemolytic anemia

Explanation: Ref-KDT 6/e p853 Primaquine is an oxidant drug. It can cause Hemal lighting anaemia in subject having deficiency of G-6-PD enzyme. This condition in genetically determined